Which of the following is true about varioliform gastritis -
1. It is a type of acute gastritis
2. It is characterized by nodules , thickened folds and erosions
3. Diagnosis is difficult to make on endoscopy
4. It is a common form of gastritis

Correct answer: 2. It is characterized by nodules , thickened folds and erosions

Explanation: Ans. is 'b' i.e., It is characterized by nodules, thickened folds and erosions Varioliform Gastritiso Varioliform gastritis is currently recognized as a special kind of chronic gastritis characterized by nodules, thickened fugal folds and erosions. These features appear to be unusual and different from those seen in chronic gastritiso The frequency of varioliform gastritis rarely exceeds 3% and the diagnosis can be easily made by endoscopic examination.o Very little is known about the etiopathogeny, clinical significance and evolution of this disease. The Role of Helicobacter pylori still remains unknown, although a close relationship between this gastritis and lymphocytic gastritis was suggested to exist over the last few years